All are good prognostic factors for neuroblastoma except
1. Trk-A expression absent
2. Absence of 1 p loss
3. Absence of 17 p gain
4. Absence of 11 q loss

Correct answer: 1. Trk-A expression absent

Explanation: The expression of specific neurotrophin receptors like TrkA are good prognostic factors for Neuroblastoma whereas expression of TrkB like neurotrophin receptors worsens the disease. Refer robbins 9/e 260p